Which is the true statement regarding megaloblasitc anemia-a) Megaloblastic precursors are present in bone marrowb) Mean corpuscular volume is increasedc) Serum LDH is increasedd) Thrombocytosis occurse) Target cells are found
1. ab
2. bc
3. abc
4. bcd

Correct answer: 3. abc